A young woman presents with delayed cycles and abnormal growth of hair on face. On USG ovaries are normal. What is the most probable diagnosis?
1. Idiopathic hirsutism
2. PCOD
3. Testestrone screting tumor
4. Adrenal hyperplasia

Correct answer: 2. PCOD

Explanation: Idiopathic hirsutism is hrisutism in absence of any adrenal or ovarian tumor and normal serum levels of androgens. This is only 25 % of al the cases of hirsutism, and not the commonest! The most common cause of hyperandrogenism and hirsutism is PCOS. There are only two major criteria for the diagnosis of PCOS: anovulation and the presence of hyperandrogenism as established by clinical or laboratory means. Revised criteria (2 out of 3) 1. Oligo ovulation or anovulation 2. Clinical and/or biochemical signs of hyperandrogenism 3. Polycystic ovaries and exclusion of other etiologies (congenital adrenal hyperplasia, androgen-secreting tumors, Cushing's syndrome) From Rotterdam ESHRE/ASRM-Sponsored PCOS Consensus Workshop These features alone are sufficient for the diagnosis in the absence of other pathologies accounting for hyperandrogenism (i.e., AOAH, or ovarian neoplasm, Cushing syndrome) or anovulation (i.e., hypogonadotropic or hypergonadotropic disorders, hyperprolactinemia, thyroid disease). Please note that presence of polycystic ovaries on USG is not necessary nor sufficient for diagnosis of PCOD